Forecast of probable cause and outcome of an attack of the disease and prospects of recovery as indicated by nature of disease and symptoms of the case
1. Prognosis
2. Treatment
3. Risk
4. Diagnosis

Correct answer: 1. Prognosis